True about spinal cord
1. In adults spinal cord ends at lower border of L1 vertebra
2. In newborn may extend up to L3
3. Cauda equina extends from lumbar vertebra to coccyx
4. All of the above

Correct answer: 4. All of the above

Explanation: *Upto 3rd month of intrauterine life, spinal cord extends throughout the entire length of vertebral canal.*Thereafter, the vertebral column grows faster than the Spinal cord and the terminal end of Spinal cord gradually shifts to a higher level.*At birth, it ends at level of L3 vertebra and in adults, it ends at level of lower border of L1.(Ref: Vishram Singh textbook of clinical neuroanatomy second edition pg 51)